Which of the following represents the surface marking of aortic valve?
1. Sternal end of left 3rd costal cartilage
2. Sternal end of right 3rd costal cartilage
3. Beside sternum in right 2nd intercostals space
4. Besides the sternum in the right 3 rdintercostals space

Correct answer: 1. Sternal end of left 3rd costal cartilage

Explanation: Valve Diameter of orifiice Surface marking Ausculatory area Pulmonary valve 2.5 cm Upper border of the sterna end of left 3rd costal cartilage Left 2nd intercostals space near the sternum Aortic valve 2.5 cm Lower border of the sternal end of left 3rd costal cartilage RIght 2nd intercostals space near the sternum Mitral valve 3 cm Left half of the sternum near the left 4th costal cartilage Cardiac apex Tricuspid valve 4 cm Right half of the sternum opposite the 4th & 5th intercostals space Lower end of sternum on the left side